One of the major disadvantage to immediate denture treatment is
1. Pain associated with treatment
2. Difficulty in managing occlusions
3. Need for reline
4. No control over tooth placement and shape

Correct answer: 3. Need for reline